Trench fever is caused by -
1. Bartonella Quintana
2. Coxiella burnetii
3. Rickettsia akari
4. Rickettsia conori

Correct answer: 1. Bartonella Quintana

Explanation: Ans. is 'a' i.e., Bartonella Quintana * Trench fever, also called 5-day fever or quintan fever, is caused by Bartonella quintana (Rochalimaea quintana).* The human body louce (Pediculus humans corporis) is the vector and humans is the only known reservoir.